For the field diagnosis of trachoma, the WHO recommends that follicular and intense trachoma inflammation should be assessed in
1. Women aged 15-45 years
2. Population of 10 to 28 year range
3. Children aged 0-10 years
4. Population above 25 years of age irrespective of sex

Correct answer: 3. Children aged 0-10 years

Explanation: C i.e. Children aged 0-10 years Inflammatory or active follicular trachoma is most often seen in young children (particularly < 5 years). That's why WHO recommends that children aged 0-10 years Q should be screened.